In a bimodal series, if mean is 2 and median is 3, what is the mode
1. 5
2. 2.5
3. 4
4. 3

Correct answer: 1. 5

Explanation: In bimodal series Mode = 3xmedian - 2xmean= 3x3 - 2x2 = 5 Ref : Park's Textbook of Preventive and Social Medicine; 23rd edition - Pgno. 847